Which of the following can be used as vector for Gene therapy
1. Viruses
2. Liposomes
3. Plasmids
4. All of these

Correct answer: 4. All of these

Explanation: Vectors used for gene delivery : Viral Vectors Non-viral Vectors Retroviruses Liposomes Adenoviruses Plasmids Herpes simplex viruses Physical methods